Which is a gram negative anaerobic bacteria:
1. Streptococci
2. Bacteroides
3. Actinomyces
4. Clostridium welchii

Correct answer: 2. Bacteroides

Explanation: Ans. B: Bacteroides